False about anodontia
1. May involve both the deciduous and the permanent dentition
2. In false anodontia tooth doesn't undergo full development
3. May involve a single tooth
4. In total anodontia all teeth are missing

Correct answer: 2. In false anodontia tooth doesn't undergo full development